Hirschsprung's disease is
1. Is inherited in an Autosomal recessive fashion
2. Is due to unopposed parasympathetic activity in the affected segment of the bowel
3. Has an equal incidence in girls and boys
4. Is seen more frequently in children with Down's syndrome than in the general population

Correct answer: 4. Is seen more frequently in children with Down's syndrome than in the general population

Explanation: Is seen more frequently in children with Down's syndrome than in the general population. polygenic inheritance, male>female. Increase in sympathetic activity is due to absence of parasympathetic ganglions in the plexi of Auerbach and Meissner.